The unit of measurement of absorbed dose in X-ray is
1. Curie
2. Sievert
3. Gray
4. Kerma

Correct answer: 3. Gray